Rat flea transmits:
1. Endemic typhus
2. Lassa fever
3. Rabies
4. Trachoma

Correct answer: 1. Endemic typhus

Explanation: Ans: a (Endemic typhus) Ref: Park, 19th ed, p. 253Arthropod borne diseases: SandflyKala azarReduvidbugChagas diseaseOriental sore Oraya feverHard tickTick typhusSandfly fever Tick paralysis Viral encephalitisTse tse flySleeping sickness Viral hemorrhagic fever KFDLouseEpidemic typhus TularemiaRelapsing fever Human babesiosisTrench fever PediculosisSoft tickQ fever Relapsing feverRat fleaBubonic plague Endemic typhusTromboculidScrub typhusChiggerosis Hymenolepsis diminutaMiteRickettsialpoxBlack flyOnchocerceriasisItch miteScabies CyclopsGuinea worm and fish tape worm(Diphyllobothrium latum)